In which of the following patients would enalapril be the best first line agent for high blood pressure control?
1. A 62 year old man with renal artery stenosis
2. A 32 year old pregnant female
3. A 41 year old woman with hyperkalemia
4. A 56 year old diabetic woman

Correct answer: 4. A 56 year old diabetic woman

Explanation: Enalapril ACE inhibitor. Lowers the risk of Diabetic nephropathy Prodrug which is converted to Enalaprilat, its active form. This active form is also available as a intravenous formulation. It is given when oral drug is contraindicated. It is also used in hypertensive urgencies ACE inhibitors are contra-indicated in: Bilateral renal artery stenosis Pregnancy Hyperkalemia.